Circumorbital ecchymosis is seen in all, except
1. Le-fort I fracture
2. Orbital blowout fracture
3. Le-fort III fracture
4. Zygomatic complex fracture

Correct answer: 1. Le-fort I fracture